A 37-year-old man reports that after a sudden financial loss, he had a bout of illness in which he felt sad and nervous and fearful, could not sleep or eat properly. He also began to hear voices telling him that he was useless and should kill himself. His symptoms stopped after approximately one week. He has had no similar episodes. Medical history includes no psychiatric conditions. Physical examination shows no abnormalities, and results of laboratory studies are within normal limits. Which of the following is the most likely diagnosis?
1. Schizophreniform disorder
2. Brief psychotic disorder
3. Schizo-affective disorder
4. Schizophrenia

Correct answer: 2. Brief psychotic disorder

Explanation: History is suggestive of abrupt onset illness with psychotic symptoms which resolved within 1 week so it would be diagnosed as Brief Psychotic disorder as per DSM or Acute and transient psychotic disorder(ATPD) as per ICD. Disorder Characteristics Brief psychotic disorder Psychotic symptoms lasting >1 d but <1 mo; often precipitating psychosocial factors Schizophreniform disorder Psychotic and residual symptoms lasting 1-6 mo Schizophrenia Psychotic and residual symptoms lasting at least 6 mo Schizo-affective disorder Symptoms of depression or mania as well as schizophrenia; presence ofpsychotic symptoms for at least 2 weeks without mood symptoms